Shortest acting muscle relaxant is:-
1. Tubocurarine
2. Succinylcholine
3. Pancuronium
4. Atracurium

Correct answer: 2. Succinylcholine

Explanation: Muscle Relaxants are of two types:- MR Depolarizing Non Depolarizing Shortest Acting Depolarizing muscle relaxant -succinyl choline. Overall shortest acting muscle relaxant- succinyl choline. Action of succinyl choline last for < 5 mins. Shortest Acting Non-Depolarizing Muscle relaxant - Mivacurium.